Langerhans cells in skin fall under which category
1. Sensory neurons
2. Pigment producing cells
3. Antigen presenting cell
4. Keratin synthesising cell

Correct answer: 3. Antigen presenting cell

Explanation: Langerhans Cell (LC) * Bone marrow-derived dendritic cell with monocyte-macrophage lineage found in stratum spinosum; constitutes 3-5% of cells of epidermis; contains actin and vimentin * Critical in recognizing and presenting foreign antigens to specific T lymphocytes . * Connected to keratinocytes E-cadherin receptors . * On EM, Langerhans cell with folded nucleus and distinct intracytoplasmic organelles (Birbeck granules: striated appearance with either rod-shape and/or tennis-racquet-shape). * Exposure to UV radiation causes depletion of LCs and decreases ability to present antigen. Ref:- Dermatology by sima Jain; pg num:- 9